Grey-Turner's sign in seen in:-
1. Acute appendicitis
2. Acute pancreatitis
3. Acute cholecystitis
4. Acute hepatitis

Correct answer: 2. Acute pancreatitis

Explanation: In acute pancreatitis, bleeding into fascial planes can produce bluish discoloration of the flanks (known as Grey turner's sign) or umbilicus (Cullen sign) Neither sign is pathognomic of acute pancreatitis